Drug of choice for acute adrenal insufficiency is?
1. Oral prednisone
2. IV hydrocortisone
3. IV betamethasone
4. IV dexamethasone

Correct answer: 2. IV hydrocortisone

Explanation: Ans. is 'b' i.e., IV hydrocortisone